Treatment for scabies is
1. Erythromycin
2. Benzene hexachloride
3. Piperazine
4. Thiabendazole

Correct answer: 2. Benzene hexachloride

Explanation: (B) Benzene hexachloride